What is use of Bristow elevator
1. To elevate fractured zygomatic bone
2. To reduce tooth bearing position of upper jaw
3. To reduce nasal complex fracture
4. To split nasal bone

Correct answer: 1. To elevate fractured zygomatic bone

Explanation: To reduce tooth bearing position of upper jaw
... Rowes disimpaction forceps is used
To reduce nasal fracture bone, asches or William forceps is used
To elevate fractured zygomatic bone Bristow elevator is used.